Sunflower type cataract is characteristically seen in -
1. Chalcosis
2. Diabetes
3. Stragardt's disease
4. Congenital syphilis

Correct answer: 1. Chalcosis

Explanation: Sunflower cataract characterised by yellowish brown dots may be observed rarely in such patients due to the deposition of cuprous oxide in the anterior lens capsule and subcapsular cortex in a stellate pattern. Chalcosis refers to the specific changes produced by the alloy of copper in the eye. REF IMG